True statements regarding Aspirin toxicity is
1. Tinnitus is an early symptom
2. Hyperthermia, tachypnea are Early complications
3. cos thrombocytopenic purpura
4. Children can tolerate much higher dose than adult

Correct answer: 1. Tinnitus is an early symptom

Explanation: Symptoms of Aspirin poisoning At anti inflammatory dose (3-6grams per day) produces the syndrome called salicylism comprising of dizziness, tinnitus, Vertigo, excitement, mental confusion, reversible impairment of hearing The dose has to be titrated to one which is just below that produces the symptom,8 tinnitus is a good guide Metabolic acidosis ,hyperthermia and acidotic breathing are seen in severe poisoning Aspirin causes platelet dysfunction by inhibiting cyclooxygenase pathway fatal dose in adult is 15 to 30 grams but considerablely lower in children Refer kDT 6/e p189